Following circulatory shock, which of the following occurs:
1. Acute tubular necrosis
2. Acute papillary necrosis
3. Both of the above
4. None of the above

Correct answer: 1. Acute tubular necrosis

Explanation: Ans. A: Acute tubular necrosisAcute tubular necrosis (ATN) is caused by lack of oxygen to the kidney tissues (ischemia of the kidneys), or by exposure to materials that are poisonous to the kidney (nephrotoxic agents).The internal structures of the kidney, particularly the tissues of the kidney tubule, become damaged or destroyed. ATN is one of the most common structural changes that can lead to acute renal failure.ATN is one of the most common causes of kidney failure in hospitalized patients.Renal papillary necrosis is a form of nephropathy involving the necrosis of the renal papilla, which is supplied by the vasa recta.Analgesic nephropathy is a cause of renal papillary necrosis. The damage is cumulative and most patients of renal papillary necrosis would have ingested at least 20kg of analgesics in the past. The risk is higher for phenacetin and acetaminophen compared to aspirin and other NSAIDs.